Investigation of choice for intraocular foreign body is-
1. CT scan
2. MRI
3. USG
4. X-ray

Correct answer: 1. CT scan

Explanation: *Computed tomography provides much more reliable information regarding the size, shape, and localization of the foreign body. *MRI generally is not used in metallic IOFB. MRI may be more effective in localizing nonmetallic IOFB such as wood. *Ultrasound can be a useful adjunct in localizing IOFB and to determine if the object is metallic. Ultrasound could be performed carefully in case of an open globe injury'. Ref: Current trends in the management of intraocular foreign bodies. Cure Opin Ophthalmol, 2008 May;19(3):225-33.